A CSF/serum glucose ratio of <0.4 is highly suggestive of:
1. Bacterial Meningitis
2. Viral Meningitis
3. Carcinomatous Meningitis
4. None of the above

Correct answer: 1. Bacterial Meningitis

Explanation: a. Bacterial Meningitis(Ref: Nelson's 20/e p 2936-2948, Ghai 8/e p 563-565)Hypoglycorrhachia (Low CSF: serum glucose ratio) is commonly seen in Bacterial meningitis.